Vital layer in slow sand filter is seen
1. On the sand bed
2. Top of water
3. Near filter valves
4. None

Correct answer: 1. On the sand bed